Concentration of adrenaline used with lidocaine is?
1. 0.180555556
2. 1.430555556
3. 1:20000
4. 1:200000

Correct answer: 4. 1:200000

Explanation: (334) 1 in 200000 REF: Miller 6th ed p. 589 USES AND DOSES OF ADRENALINE: USE DOSE Anaphylaxis SC or IM injection is 0.3-0.5 mg 1:1,000 Croup Racemic adrenaline is a 1:1 mixture of the dextrototary (d) and levorotatory (1) isomers of adrenaline Local anesthetics 1 in 200000